Bonney's test demonstrates:
1. Stress urinary incontinence
2. Urge incontinence
3. Overflow
4. All of the above

Correct answer: 1. Stress urinary incontinence

Explanation: Ans. is a, i.e. Stress urinary incontinenceRef: Telinde 9th/ed, pl035-37Bonney's test is performed in the clinical evaluation of SUL In the Bonney's test, two fingers are placed in the vagina at the UV junction on either side of the urethra and the bladder neck is elevated.On straining or coughing, leakage of urine indicates of positive test. A positive test indicates that the SUI is due to bladder neck descent and urethral hypermobility and can be corrected by bladder neck suspension surgeries.A negative test i.e. leakage of urine-means SUI is due to intrinsic urethral sphincteric deficiency and results of performing bladder neck suspension surgery will not be good.Note: Marchetti test is same as Bonney's test, but two Allis forceps are used instead of fingers.